Sharp pain is transmitted by which type of fibers
1. Aa
2. Ab
3. Ad
4. C

Correct answer: 3. Ad

Explanation: Sharp pain is transmitted by A delta nerve fibres Ref: guyton and hall textbook of medical physiology 12 edition page number: 698,699,700